Pathognomonic enlarged, grayish yellow or orange tonsils are seen in:
1. Familial hypercholesterolemia
2. LCAT deficiency
3. Tangier disease
4. Abetalipoproteinemia

Correct answer: 3. Tangier disease

Explanation: Patients with Tangier disease have extremely low circulating plasma levels of HDL-C ( Reference: Harrisons Principles of Internal Medicine, 18th Edition, Page 3154